Pathognomic features of acute rheumatic fever is -
1. Pericarditis
2. Myocarditis
3. Mitral stenosis
4. Aschoffs nodules

Correct answer: 4. Aschoffs nodules